Sputum examination for AFB is a type of-
1. Primary prevention
2. Secondary prevention
3. Tertiary prevention
4. Primordial prevention

Correct answer: 2. Secondary prevention

Explanation: Ans. is 'b' i.e., Secondary prevention Sputum for AFB is used for diagnosis of TB, so that treatment can be started